Vitamin required for production of Thrombin is:
1. Vitamin A
2. Vitamin D
3. Vitamin K
4. Vitamin E

Correct answer: 3. Vitamin K

Explanation: Vitamin K brings about post translational modification of certain blood clotting factors. The clotting factor -II (Prothrombin) -VII -IX -X are synthesized as inactive precursors (zymogens ) in the liver.